The fingerprint pattern may be impaired permanently in case of:
1. Eczema
2. Scalds
3. Scabies
4. Leprosy

Correct answer: 4. Leprosy

Explanation: Ans. Leprosy